A 52 year old male with a history of heart disease presents with sudden painless loss of vision in one eye. Examination reveals cherry red spot. Diagnosis is:
1. Central retinal vein occlusion
2. Central retinal artery occlusion
3. Diabetic retinopathy
4. Acute ischemic optic neuritis

Correct answer: 2. Central retinal artery occlusion

Explanation: Central retinal artery occlusion: It occurs due to obstruction at the level of lamina cribrosa. Causes sudden painless loss of vision. Retina becomes white due to oedema & a cherry red spot is seen at the fovea. Arterioles become narrow & blood column within the retinal vessels is segmented. Resuscitation time of the human retina following retinal ischemia is 11/2 hours. Ref: Review of Ophthalmology by A.K. Khurana, 5th Edition, Page 113